White vitrol is ?
1. Magnesium hydroxide
2. Magnesium chloride
3. Zinc sulfate
4. Zinc chloride

Correct answer: 3. Zinc sulfate

Explanation: Ans. is 'c' i.e.,Zinc sulfate Zinc sulfate Irritant - White vitriol (Astringent)Zinc chloride Corrosive - Butter of zinc (Astringent)Zinc phosphide Rodenticide - Rat poison